Which of the following modality is most sensitive investigation for pneumothorax?
1. USG
2. CT
3. X-ray
4. MRI

Correct answer: 2. CT

Explanation: Pneumothorax: Refers to the presence of gas (air) in the pleural space. When this collection of gas is constantly enlarging with resulting compression of mediastinal structures, it can be life-threatening and is known as a tension pneumothorax. Provided lung windows are examined, a pneumothorax is very easily identified on CT, and should pose essentially no diagnostic difficulty. - IOC- CT Scan - Best X-ray view- Expiratory Films